Ultrasonography transducer contain –
1. Sodium fluoride
2. Lead Zirconate
3. Caesium fluoride
4. None

Correct answer: 2. Lead Zirconate

Explanation: Lead zirconate titanate (PZT) is the most widely used material in the ultrasound transducers / probes replacing the firstly discovered barium titanate.